Subnuclear cytoplasmic vacuolization is seen in which stage of menstural cycle ?
1. Proliferative phase
2. During mensturation
3. Secretory phase
4. None

Correct answer: 3. Secretory phase

Explanation: Ans. is 'c' i.e., Secretory phaseSubnuclear cytoplasmic vacuolization is seen in early secretory phase.Histological features in secretory phasei) Basal location of gland cell nuclei (Post-ovulation day 5-6 and later in cycle).ii) Subnuclear cytoplasmic vacuolization (early secretory phase).iii) Serated glandular configration or "Saw-tooth appearance" (mid-secretory phase).iv) Periarteriolar predecidual rection (mid-secretory phase).